True about Dressler's syndrome is all, except :
1. Occurs with in hours after myocardial infarction
2. Recurrence may be seen
3. Chest pain is common
4. Responds well to salicylates

Correct answer: 1. Occurs with in hours after myocardial infarction

Explanation: Answer is A (Occurs with in hours after myocardial infarction) Dressler's syndrome develops after an interval of 1 to 4 weeks (or even month) following cardiac injury (MI) and not within hours. Dressler's syndrome / Post Cardiac Injury Syndrome Dressler's syndrome refers to an acute farm of pericarditis that develops after myocardial infarction The pericarditis typically develops I to 4 weeks following cardiac injury/MI but may appear after several months Recurrence may be seen sometimes upto 2 years or more after MI / Injury Pathological pericarditis may be of the fibrinous variety The mechanism is not certain but they are believed to result from a hypersensitivity reaction in which the antigen originates from the injured myocardial tissue. Circulating antibodies to myocardium occur frequently. The principal symptom is 'chest pain' of acute pericarditis. Leukocvtosis, T ESR and ECG changes of acute Pericarditis may also occur. The pericarditis is usually resolves in I to 2 weeks and often no treatment is necessary apart from aspirin, NSAIDS or analgesics. Therepy with NSAIDS or corticosteroids is usually effective.